Which off the following is an oncogenic retrovirus?
1. HTLV-1
2. HPV
3. EBV
4. HBV

Correct answer: 1. HTLV-1

Explanation: Ans: A (HTLV-1) Ref: Jawetz, Mel nick & Adel bergs Textbook of Medical Microbiology, 25th Edition. 2010Explanation:* Viruses which produce tumors in either their natural host or experimental animals or induce malignant transformation in cell cultures are called oncogenic viruses.RNA virusesCANCERHCVHTLV1HIVHepatocellular cancerAdult T cell leukemiaAIDS related malignanciesDNA virusesCANCERHPVGenital tumoursOropharyngeal cancerBurkitt's lymphomaNasopharyngeal carcinomaB cell lymphomaKaposi's sarcomaHepatocellular cancerEBVHHV 8HBV